Postmortem caloricity is seen in -
1. Strychning poisoning
2. Organophosphorus poisoning
3. Dhatura poisoning
4. Ergot poisoning

Correct answer: 1. Strychning poisoning

Explanation: Postmortem caloricity is the condition in which temperature of body remains raised for first two hours after death. It can be due to breakdown of heat regulation as in sunstroke or increased heat production due to convulsion of muscles as in strychnine poisoning or excess bacteria as in cholera. Dr.Narayana Reddys Synopsis of Forensic Medicine and Toxicology 27th edition pg. 76.